Group of viruses that inhabit the alimentary tract of children below 2 years age:
1. Coxsackie virus
2. Paramyxovirus
3. Varicella zoster virus
4. Herpes simplex virus

Correct answer: 1. Coxsackie virus